The disadvantage of Marshall marchetti Krantz procedure compared with other surgical alternatives for treatment of stress urinary incontinence includes
1. Urinary retention
2. Increased incidence of urinary tract infections
3. High failure rate
4. Osteitis pubis

Correct answer: 4. Osteitis pubis

Explanation: Marshall-Marchetti-Krantz procedure It's a suprapubic operation in which the paraurethral tissue at the level of bladder neck is sutured to the periosteum or perichondrium of the posterior aspect of the pubic symphysis Procedure elevates bladder neck but doesn't correct cystocele Complicaion: Osteitis pubis; Seen in 2-7% of cases Ref: SHAW'S TEXTBOOK OF GYNAECOLOGY;15th edition; Pg no:193